A 4-year-old girl is brought to the physician by her parents who report seeing blood in the child's urine. A CT scan reveals a neoplasm of the urinary bladder. Which of the following is the most likely diagnosis?
1. Angiosarcoma
2. Embryonal rhabdomyosarcoma
3. Leiomyosarcoma
4. Liposarcoma

Correct answer: 2. Embryonal rhabdomyosarcoma

Explanation: Rhabdomyosarcoma, typically of the embryonal type, manifests most commonly in children as sarcoma botryoides. These edematous, mucosal, polypoid masses have been likened to a "cluster of grapes." Combined treatment with radiation therapy and chemotherapy has greatly increased survival rates for children with this neoplasm. The other choices are rarely, if ever, encountered in children.Diagnosis: Rhabdomyosarcoma, sarcoma botryoides